Where is torus aorticus located
1. Left atrium
2. Right atrium
3. Aorta
4. Left ventricle

Correct answer: 2. Right atrium

Explanation: Torus aorticus is a buldge in the right atrial septum sited superiorly and anteriorly. It is produced due to adjacent nonocoronary aortic sinus at the base of ascending aorta. It is superior to coronary sinus and anterior to fossa ovalis.